Which cervical nerve supplies the thumb dermatome
1. C5/T1
2. C6
3. C7
4. C8

Correct answer: 2. C6